Which of the following statements about cysticercosis is true?
1. The causative agent is Echinococcus granulosus
2. The definitive host is man
3. Human cysticercosis is transmitted by the ingestion of ova
4. Levamisole is the treatment of choice

Correct answer: 3. Human cysticercosis is transmitted by the ingestion of ova

Explanation: Human cysticercosis is acquired by ingesting T. solium tapeworm ova, from either contaminated fingers or food . The larvae are liberated from eggs in the stomach, penetrate the intestinal mucosa and are carried to many parts of the body, where they develop and form cysticerci, 0.5-1 cm cysts that contain the head of a young worm. They do not grow further or migrate. Common locations are the subcutaneous tissue, skeletal muscles and brain . Ref Harrison20th edition pg 1057